Examining a patient in dental office is equivalent to
community dental health if
1. Surveying
2. Analysing of data
3. Programme planning
4. Evaluation

Correct answer: 1. Surveying